Most common site of lentigo maligna melanoma is
1. face
2. legs
3. trunks
4. soles

Correct answer: 1. face